A 9 month old child presents with excessive cry, right iliac fossa sausage lump and blood in stools. What is the best treatment?
1. IV Fluids - antibiotics - NG tube
2. IV Fluids - antibiotics - air enema
3. IV Fluids - antibiotics - barium enema
4. IV Fluids - antibiotics - warm saline enema

Correct answer: 2. IV Fluids - antibiotics - air enema

Explanation: Right iliac fossa SAUSAGE LUMP in a child is suggestive of INTUSSUSCEPTION i.e. telescoping of one segment of bowel into another. Recurrent intussusception because of ischemia leads to passage of small amount of stool mixed with blood know as RED CURRENT JELLY. *Treatment: Resuscitate - start IV Fluids - antibiotics - air enema for spontaneous resolution (air is preferred over barium).